Desmoplasia is defined as:
1. Increase in number of neoplastic cells
2. Benign tumours arising in fibrous tissue
3. Abundant collagenous stroma in tumour
4. Benign cartilaginous tumours

Correct answer: 3. Abundant collagenous stroma in tumour

Explanation: Ans. C i.e. Abundant collagenous stroma in tumour Desmoplasia It is the growth of fibrous or connective tissue. It is also called desmoplastic reaction to emphasize that it is secondary to an insult. Desmoplasia may occur around a neoplasm, causing dense fibrosis around the tumor, or scar tissue (adhesions) within the abdomen after abdominal surgery. Desmoplasia is usually only associated with malignant neoplasms, which can evoke a fibrosis response by invading healthy tissue. Infiltrating metastatic ductal carcinomas of the breast often have a scirrhous, stellate appearance caused by desmoplastic formations.